All of the following have no lymphatics, except -
1. Brain
2. Internal ear
3. Cornea
4. Liver

Correct answer: 4. Liver